Obnoxious Smell and Olfactory hallucination is seen in lesions of:
1. Temporal lobe
2. Frontal lobe
3. Parietal lobe
4. Occipital lobe

Correct answer: 1. Temporal lobe

Explanation: Temporal lobe